True about pterygium
1. Inflammation of cornea
2. Fatty deposition of sclera
3. Conjunctival invasion making a flap over cornea
4. Dead epithelial debris accumulation

Correct answer: 3. Conjunctival invasion making a flap over cornea

Explanation: Pterygium - Wing shapes fold of conjunctiva encroaching upon the cornea from the either side *Etiology - Hot climates - Degenerative & hyperplastic condition of conjunctiva *Symptoms - Visual disturbance (astigmatism) -Cosmetic intolerance *Sign - Triangular fold of conjunctiva mainly on nasal sideStocker line - Iron deposition on corneal epithelium *Rx-Surgical excision-recurrence chance is 30-50 %Best RX- Surgical excision with free conjunctival autograft taken from the same eye or other